Which of the following are NOT associated with complex tongue thrusting activity?
1. Naso-respiratory distress
2. Contraction of the teniporalis muscle
3. Contraction of the mentalis and lower lip during swallow
4. Absence of contact of teeth during swallow

Correct answer: 2. Contraction of the teniporalis muscle